A 67 year old patient has been given a course of antibiotics through gluteal intramuscular injections after a major abdominal surgery. To avoid damage to the sciatic nerve, during injection needle is to be inserted in which of the following area ?
1. Midway between ischial tuberosity and lesser trochanter
2. Over sacrospinous ligament
3. Midpoint of the gamelli muscles
4. Upper lateral quadrant of gluteal region

Correct answer: 4. Upper lateral quadrant of gluteal region

Explanation: Insertion of needle at upper lateral quadrant of gluteal region doesn't injure nerves Needle insertion at lower medial quadrant damages sciatic and pudendal nerves Needle insertion at sacrospinous ligament damages pudendal nerves and vessels Needle insertion at the midway between ischial tuberosity and lesser trochanter damages sciatic nerve, posterior femoral cutaneous nerves. Ref: Gray's Anatomy The Anatomical Basics of Clinical Practice 41 e pg 1373.